"Albumino-Cytologic Dissociation" occurs in cases of:
1. Guillain Barre syndrome
2. TBM
3. Motor neurone disease
4. Demyelinating disorder

Correct answer: 1. Guillain Barre syndrome

Explanation: Guillain Barre syndrome